Congenital rubella causes all EXCEPT:
1. Deafness
2. Cataract
3. Cardiac defects
4. Hydrocephalus

Correct answer: 4. Hydrocephalus

Explanation: ANSWER: (D) HydrocephalusREF: Harrison's 18th ed chapter 193A clinical diagnosis of CRS is reasonable when an infant presents with a combination of cataracts, hearing impairment, and heart defects; this pattern is seen in 10% of infants with CRSSee APPENDIX-32 for "TERATOGENS"MANIFESTATIONS OF CONGENITAL RUBELLA SYNDROMETransient ManifestationsHepatosplenomegalyInterstitial pneumonitisPermanent ManifestationsHearing impairment/deafnessCongenital heart defects (patent ductus arteriosus, pulmonary arterial stenosis)Thrombocytopenia with purpura/petechiae (e.g., dermal erythropoiesis, or "blueberry muffin syndrome")Hemolytic anemiaBony radiolucenciesEye defects (cataracts, cloudy cornea, microphthalmos, pigmentary retinopathy, congenital glaucoma)Intrauterine growth retardationAdenopathyMicrocephalyMeningoencephalitisCentral nervous system sequelae(mental and motor delay, autism)